Acid fast oocysts are seen in ?
1. Cryptosporidium
2. Isospora
3. Cyclospora
4. All of the above

Correct answer: 4. All of the above

Explanation: Ans. is 'd' i.e., All of the above Acid fast parasites Cryptosporidium parvum - Oocyst Cyclospora sp - Oocyst Isospora belli - Oocyst Taenia saginata - Egg